The artery most commonly responsible for bleeding in massive hemoptysis is
1. Bronchial
2. Pulmonary
3. Intercostal
4. Intersegmental

Correct answer: 1. Bronchial